CD-10 is seen in -
1. ALL
2. CLL
3. HCL
4. CML

Correct answer: 1. ALL